Which is a noveneral form of trephonemal infection – a) Yawsb) Pintac) Syphillisd) GV
1. ab
2. a
3. ad
4. bc

Correct answer: 1. ab